which is true about mirtazapine
1. it is a type of NaSSa
2. it is a type of SSRI
3. it is a type of SARi
4. it is a type SNRI

Correct answer: 1. it is a type of NaSSa

Explanation: NaSSA * IMPORTANCE Nor adrenergic and specific serotonergic antidepressant * MECHANISM * Alpha 2 adrenergic receptor antagonism=== increase serotonin and NA * 5HT2,3 antagonist============increase sleep and appetite * DRUGS mirtazapine * USE Elderly with depression * SIDE EFFECTS hyperlipidemia re. kaplon and sadock, synopsis of psychiatry, 11 th editionm, 955